Vaccine for yellow fever -
1. Vi polysaccharide
2. RA 27\/3
3. 17 D
4. OKA stain

Correct answer: 3. 17 D

Explanation: yellow fever vaccine:- 17 D vaccine Live attenuated prepared from a non virulent strain (17D strain). Administered subcutaneously at the insertion of deltoid . Single dose 0.5 ml irrespective of age. Revaccination after 10 years. Storage: +5 to -30 deg celcius. Yellow fever vaccine production centre in India- central research institute, kasauli. Protection offered after 10 days of injection. {Reference: park's textbook of preventive and social medicine, 23rd edition, pg no.283}